True about tamoxifen is-
1. Selective estrogen receptor downregulator
2. Selective estrogen receptor modulator
3. Selective tissue estrogen activator regulator
4. Estrogen antagonist

Correct answer: 2. Selective estrogen receptor modulator

Explanation: Ans. is 'b' i.e., SERM * Has been explained in previous sessions